A person having diarrhea of six month duration. Acid fast organism of size 10 micron are found in stool. Most likely cause is:
1. Cryptosporidium
2. Isospora
3. Cyclospora
4. Giardia

Correct answer: 3. Cyclospora

Explanation: Most likely causative organisms in this condition are coccidian parasites which include Cryptosporidium Isospora Cyclospora Size of oocyst in these organisms are Cryptosporidium -4-6 micron Cyclospora - 8-10 micron Isorpora - 23-36 micron Oocysts of these organisms are acid fast Cyst of giardia is not acid fast